Asherman syndrome is due to :
1. Overdose drugs
2. Postaboion curettage
3. Speticemia
4. Contraceptal pills

Correct answer: 2. Postaboion curettage

Explanation: Postaboion curettage